A 24 year old woman presents with new onset right lower quadrant pain, and you palpate an enlarged, tender right adnexa. Which of the following sonographic characteristics of the cyst in this patient suggests the need for surgical exploration now instead to observation for one menstrual cycl?
1. Lack of ascites
2. Unilocularity
3. Papillary vegetation
4. Diameter of 8 cm

Correct answer: 3. Papillary vegetation